“Call-Exner bodies” are seen in
1. Yolk sac tumor
2. Granulosa cell tumor
3. Hilus cell tumor
4. Brenner tumor

Correct answer: 2. Granulosa cell tumor

Explanation: GRANULOSA CELL TUMOR
■ It is a sex cord stromal tumor that occurs at any age but most common\y in postmenopausal woman (2/3rd).
■ It is a virilizing tumor, produces estrogen, causing precocious puberty in prepubertal girls and endometrial hyperplasia, cystic disease of breast and endometrial carcinoma.
■ These are potentially malignant tumors.
■ The tumor cells are arranged in sheets punctuated by small follicle like structures filled with an acidophilic material, known as Call-Exner bodies. Classification of Ovarian Tumors